Woods lamp used in diagnosis of – a) P. versicolorb) Vitiligoc) Porphyriad) Psoriasise) Lichen planus
1. abc
2. bc
3. acd
4. bcd

Correct answer: 1. abc

Explanation: Wood's lamp is used in Tinea capitis, Erythrasma, vitiligo, albinism, Leprosy, Tuberous sclerosis, Pseudomonas infection, Porphyria, Tinea versicolor.